Which of the following is not a pyrogenic cytokine
1. Il_1
2. TNF
3. IFN _alpha
4. IL -18

Correct answer: 4. IL -18

Explanation: Ref Harrison 18/e p 144;9/e p99 Interleukin-18 is a protein which in humans is encoded by the IL18 gene. The protein encoded by this gene is a proinflammatory cytokine. This cytokine is produced by many immune cells and can modulate both innate and adaptive immunity and dysregulation can cause autoimmune or inflammatory diseases